The site of action of the loop diuretic furosemide is:
1. Thick ascending limb of loop of Henle
2. Descending limb of loop of Henle
3. Proximal convoluted tubule
4. Distal convoluted tubule

Correct answer: 1. Thick ascending limb of loop of Henle

Explanation: Ans. a. Thick ascending limb of loop of Henle (Ref: Goodman and Gilman : 12/e p678)The site of action of the loop diuretic furosemide is thick ascending limb of loop of Henle.DiureticSite of actionMechanism of actionCarbonic anbydrase inhibitorsProximal tubuleInhibit Na+ and HCO3 - absorption due to carbonic anhydraseQOsmotic diureticsLoop of HenleReduce renal medullary tonicityLoop diureticsThick ascending limb of loop of HenleInhibit Na+ - K+ 2CI- symporterQThiazidesEarly distal tubuleInhibit Na+ - Cl- symporterQAmilorideLate distal tubule, Collecting ductInhibit epithelial sodium channels (ENaC)QTrimaterenceLate distal tubule, Collecting ductInhibit epithelial sodium channels (ENaC)QAldosterone receptor antagonistsLate distal tubule, Collecting ductAntagonize the Na+ and H2O reabsorption due to aldosterone